Drug not affecting pseudomonas aeruginosa -
1. Levofloxacin
2. Ampicillin
3. Norfloxacin
4. Ciprofloxacin

Correct answer: 2. Ampicillin

Explanation: Ans. is 'b' i.e., Ampicillin Drugs acting against Pseudomonas.o Penicillins - Piperacillin, Carbenicillin, Ticarcillin, Mezlocillin,o Cephalosporins - Ceftazidime, Cefoperazone, Cefepime.o Carbapenems - Imipenem, meropenemo Monobactams - Aztreonam.o Aminoglycosides - Tobramycin, Gentamycin, Amikacin,o Fluroquinolones - Ciprofloxacin, Levofloxacin. Norfloxacin,o Other - Poiymixin B, Colistin.o For most of the infection of pseudomonas, treatment of choice is the combination of an antipseudomonal b- lactant and an aminoglycoside.